The most characteristic EEG finding in complex partial (psychomotor) seizures is:
1. Spikes over the temporal lobes
2. Diffuse Slowing
3. Generalized Spike and wave pattern
4. Multifocal spikes

Correct answer: 1. Spikes over the temporal lobes

Explanation: Partial complex seizures (psychomotor seizures or temporal lobe seizures) are characterized clinically by automatisms - repetitive complex but purposeless and inappropriate motor activities. There may or may not be changes in the consciousness and responsiveness. There may be bizarre behavior, strange feelings, confusion, and fear. The most common electroencephalographic finding is spike waves over the temporal lobes. Ref: Greenberg D.A., Aminoff M.J., Simon R.P. (2012). Chapter 12. Seizures & Syncope. In D.A. Greenberg, M.J. Aminoff, R.P. Simon (Eds), Clinical Neurology, 8e.